At the age of nine years, the mandibular permanent first molar has its distal contact with which of the following teeth?
1. First premolar
2. Second premolar
3. Deciduous 2nd molar
4. None

Correct answer: 4. None